BCG is given
1. Intramuscular
2. Subcutaneous
3. Intradermal
4. Intravenous

Correct answer: 3. Intradermal